The following is the method for operating cleft lip All/Except-
1. Le Mesurier's method
2. Tennison's method
3. Millard's method
4. Wardill's method

Correct answer: 4. Wardill's method

Explanation: Following techniques have been used for cleft lip repair

Thompson
Le Muserier            
Tennison-Randall
but 'Rotation advancement technique' by Millard is the most widely used method